Hydroxyapatite coating of dental implants was introduced by
1. DeGroot
2. Hahn and Polich
3. Kay
4. Clemow

Correct answer: 1. DeGroot